Diopteric power is related -
1. Directly to square of focal length
2. Inversely to focal length
3. Directly to focal length
4. Inversely to square of focal length

Correct answer: 2. Inversely to focal length

Explanation: Ans. is 'b' i.e. Inversely to focal length Optical powero Optical power (also referred to as dioptric power, refractive power, focusing power, or convergence power) is the degree to which a lens, mirror, or other optical system converges or diverges light. It is equal to the reciprocal of the focal length of the device: P = 1/f. High optical power corresponds to short focal length. The SI unit for optical power is the inverse metre (m 1), which is commonly called the dioptreo Converging lenses have positive optical power, while diverging lenses have negative power. When a lens is immersed in a refractive medium, its optical power and focal length change.